Inulin is a polymer of
1. Fructose
2. Glucose
3. Galactose
4. Inulinose

Correct answer: 1. Fructose